Longest muscle in the body -
1. Biceps
2. Triceps
3. Sartorius
4. Quadriceps

Correct answer: 3. Sartorius

Explanation: Ans. is 'c' i.e., Sartorius Golden Facts to RememberToal number of muscles in the body434AH the muscles of body develop from mesenchyme exceptArrector pili, muscles of iris and myoepithelial cells which develop from ectodermLargest muscle in the bodyGluteus maximusLongest muscle in the bodySartoriusSmallest muscle in the bodyStapediusMost important property' of a muscleContractilityMost abundant muscles type in the bodySkeletal musclesFunctional contractile unit of a muscleMotor unitFunctional unit of a muscle fiberSarcomereMost variables muscle in the bodyPalmaris longus (in the forearm)Longest tendon in the bodyPlantaris (in the leg)Largest tendon in the bodyAchilles tendon (tendo-calcaneus)Most important reflex for maintaining the health of a muscleStretch reflexMost commonly used muscle for intramuscular injectionDeltoid (in shoulder region)Muscles with smallest motor unitExtraocular musclesMuscles with largest motor unitMuscles of lower limb; e.g. gluteus maximusMost commonly ruptured tendon in the bodyTendo-calcaneusMost differentiated muscle in the bodyCardiac muscleAll the muscle need nerve stimulus to contract except musclesCardiac muscle which can contract without nerve stimulus (myogenic contraction)In most of the muscles in the body the nerve enters on their deeper aspect exceptSerratus anterior in which the nerve enters on its superficial aspect